AFP is raised in
1. 100% of hepatoblastoma
2. 90% of hepatoblastoma
3. 100% of HCC
4. 90% of HCC

Correct answer: 2. 90% of hepatoblastoma

Explanation: Serum AFP levels are elevated In >70% of patients with HCC In 85-90% of patients with hepatoblastoma Ref : Sabiston 20th edition Pgno :1464